In chylomicrons, the main apoprotein is:
1. Apo A-I
2. Apo A-II
3. Apo B-100
4. Apo B-48

Correct answer: 4. Apo B-48

Explanation: The main apoprotein in chylomicrons is Apo B 48. In addition it may also contain apo A and apo C. Chylomicrons are synthesized in the intestinal mucosal cells from the absorbed dietary lipids. Inside the cell TAG are re synthesised, and addition of cholesterol, apo proteins and phospholipids to the TAG takes place. Principal apoprotein of VLDL, IDL and LDL is apo B100. They also contain apo C and apo E. IDL carries some apo E apoprotein. Apo AI and AII acts as LCAT activator Apo CI and CII acts as activator of lipoprotein lipase Ref: Textbook of Biochemistry for Dental/Nursing/Pharmacy Students By Chatterjea page 278. Biochemistry for Physiotherapy and Allied Health Sciences Students By Beena V. Shetty page 105.